A man came with his wife in psychiatric department. She is complaining about his increased cleanliness. He keeps on washing hands in frequent intervals telling that its not clean. He wants everything in an ordered manner. He is becoming obsessive in everything and compelling everyone at home to follow him. Which of the following drug is most useful in this patient?
1. Amoxapine
2. Fluoxetine
3. Doxepin
4. Dothiepin

Correct answer: 2. Fluoxetine

Explanation: This patient suffering from obsessive compulsive disorder (OCD). Preferential serotonergic reuptake inhibitors (PSRIs), the medications most effective in treating OCD, mainly inhibit there uptake of serotonin into nerve cells. These medications include clomipramine, fluoxetine, sertraline, paroxetine, citalopram, escitalopram, and fluvoxamine. Medications with noradrenergic reuptake inhibition produce no benefit and may counteract or diminish the efficacy of serotonergic reuptake inhibition. Ref: Hewlett W.A. (2008). Chapter 21. Obsessive-Compulsive Disorder. In M.H. Ebert, P.T. Loosen, B. Nurcombe, J.F. Leckman (Eds), CURRENT Diagnosis & Treatment: Psychiatry, 2e.